Beta blockers are contraindicated in:
1. Decompensated CHF
2. Asthma
3. Variant angina
4. All of the above

Correct answer: 4. All of the above